A 32-year old adult male broke the jaw of another in an alleged fight. The investigating police officer:
1. Can arrest him only after procuring warrant
2. Can arrest him without warrant
3. May declare him hostile and put him in jail
4. May declare him sociopath and send him to mental asylum

Correct answer: 2. Can arrest him without warrant

Explanation: Ans. b. Can arrest him without warrant Fracture or dislocation of mandible is a 'Grievous injury' for which punishment is defined under IPC 325. It is a 'cognizable offence' hence a police officer can arrest the accused without warrant. "Cognisable offence: An offence for which a police officer can arrest a person without warrant from magistratedeg e.g. rape, robbery, murder, dowry death, raggingdeg, death due to rash or negligent act." Grievous Injury (Sec 320 IPC)Q EmasculationQ Permanent privation of either eyeQ Permanent privation of either ear Privation of any member (part, organ or limb) or joint Permanent disfiguration of head or faceQ Fracture or dislocation of a bone or a toothQ Destruction or permanent impairing of powers of any member or joint Any hurt which endangers life, or which causes the sufferer to be, during the space of 20 days, in severe body pain, or unable to follow his daily routinevQ.